Dysphoria caused by opiates is mediated by which recetor?
1. mu
2. Kappa
3. Delta
4. Sigma

Correct answer: 2. Kappa

Explanation: Ref: KDT 7/e p79 Dysphoria and psychomimetics effects are caused by kappa receptors.